A 60-year-old male presents with haematuria at the onset of micturition - the cause is -
1. Urethral stone
2. Bladder tumor
3. Ureteric stone
4. Prostatitis

Correct answer: 1. Urethral stone

Explanation: Relation of hematuria to micturition Site of bleeding Blood appears at the begining Urethra Blood appears at the end Vesical Blood is intimately mixed throughout the process Prerenal, renal or Vesical ref : S. Das manual 4/e p408